USG done at 18 - 20 weeks mainly to :
1. Detect fetal abnormality
2. Determine sex
3. Estimate liquor
4. Determine maturity

Correct answer: 1. Detect fetal abnormality

Explanation: At 18 - 20th weeks, 2nd scan is done mainly to look for congenital anomalies.